Eczema herpeticum is caused by
1. Herpes simplex virus
2. Varicella
3. CMV
4. HPV

Correct answer: 1. Herpes simplex virus

Explanation: Eczema herpeticum/ kaposis varicelliform eruption cutaneous eruption caused by herpes simplex infection or other viruses in patients with preexiting dermatosis most commonly associated with atopic dermatitis eruption is disseminated and predilection over the areas with rash. onset is abrupt with Ulster's of umbilicated lesions in preexisting dermatosis diagnosis: thank smear- multinucleated gaint cells,pcr treatment : acyclovir other viruses causing eczema herpeticum: vaccinia, coxasackie virus a 16 associated skin diseases that trigger eczema herpeticum: mycosis fungoides, pityriasis rubra Polaris,irritant contact dermatitis, ichthyosaurs vulgaris, pemphigus foliaceous, Hayley Hayley disease, seborrhoea dermatitisburns iadvl textbook of dermatology.page 245